A young female presents with history of dyspnoea on exertion. On examination, she has wide, fixed split S2 with ejection systolic murmur (III/VI) in left second intercostal space. Her EKG shows left axis deviation. The most probable diagnosis is
1. Total anomalous pulmonary venous drainge
2. Tricuspid atresia
3. Ostium primum atrial septal defect.
4. Ventricular septal defect with pulmonary arterial hypertension

Correct answer: 3. Ostium primum atrial septal defect.